A city has a population EXCEEDING:
1. 100,000
2. 500,000
3. 10,00,000
4. 15,00,000

Correct answer: 1. 100,000

Explanation: A city or a town is a relatively large, dense and permanent settlement of socially heterogeneous people. When the population exceeds 100,000, it is called a city. Ref: Park 21st edition, page: 630.